Which one of the following statements best describe pseudoaneurysm
1. Focal dilation of vessel in which intimal and medial layers are disrupted and the dilated segment is lined by adventitia
2. Focal dilation of a vessel only involving one portion of the circumference
3. Apparent dilation of a vessel due to intrinsic narrowing proximal and distal to the point of apparent narrowing
4. Dilation of a vessel, though not to the size necessary to be diagnosed as a true aneurysm

Correct answer: 1. Focal dilation of vessel in which intimal and medial layers are disrupted and the dilated segment is lined by adventitia

Explanation: Pseudoaneurysm Wall is not formed by all the three layers Pseudoaneurysms can arise from Primary defects in the aortic wall (e.g -After trauma or contained aneurysm rupture) Anastomotic or cannulation site leaks that occur after cardiovascular surgery. Anastomotic pseudoaneurysms can be caused by Technical problems Deterioration of the native aortic tissue, graft material, or suture. Associated with Marfan syndrome, Loeys-Dietz syndrome Progressive degenerative disease Infection. Saccular aneurysm: affect only one part of arterial circumference